All the following hormones bind to cell surface receptors of the target tissues EXCEPT
1. Thyroid stimulating hormone
2. Glucagon
3. Estrogen
4. Epinephrine

Correct answer: 3. Estrogen